Fat content is minimum in
1. Human milk
2. Cow milk
3. Goat milk
4. Buffalo milk

Correct answer: 1. Human milk

Explanation: Ans. is 'a' i.e., Human milk Fat content of milk: Buffalo > Goat > Cow > Human Protein content of milk: Buffalo > Goat > Cow > Human Lactose content of milk: Human > Buffalo > Goat > Cow Energy content of milk: Buffalo > Goat > Cow > Human